Which of the following criterion is false regarding the effectiveness of Lactational Amenorrhea Method?
1. Should be exclusively breastfeeding
2. Menstruation should not have resumed
3. Effective only up to four months after delivery
4. None of the above

Correct answer: 3. Effective only up to four months after delivery

Explanation: LAM may be effective up to six months if:- she is exclusively breastfeeding and Her menses have not returned. - Contraception of choice during lactation is progesterone only pills.